Which of the following is not a content of renal sinus ?
1. Branches of renal artery
2. The renal pelvis
3. Renal tubule
4. Tributeries of renal vein

Correct answer: 3. Renal tubule

Explanation: he renal sinus is a space that extends into the kidney from the hilus. It contains - (a) branches of the renal artery; (b) tributaries of the renal vein; and (c) the renal pelvis. Ref : B D Chaurasia's Human Anatomy , seventh edition , volume 2 , pg. no., 344.